Increased AFP level is seen in:
1. Down's syndrome
2. Molar pregnancy
3. wrong gestational age
4. Edward's syndrome

Correct answer: 3. wrong gestational age

Explanation: Increased AFP wrong gestational age open neural tube defects multiple pregnancy Rh isoimmunisation IUFD Anterior abdominal wall defects renal anomalies D.C.DUTTA'S TEXTBOOK OF OBSTETRICS,Pg no:106,7th edition